All of the following muscles are innervated by branches from the brachial plexus except
1. supraspinatus
2. Lattismusdorsi
3. Rhomboid major
4. Trapezius

Correct answer: 4. Trapezius

Explanation: BRACHIAL PLEXUS BRANCHES Branches of roots Nerve to Serratus anterior (long thoracic N) -C5, C6, C7 Nerve to Rhomboideus (Dorsal scapular N) -C5 Branches of trunks Suprascapular nerve -C5, C6 Nerve to subclavious -C5,C6 BRANCHES OF CORDS Lateral cord Lateral pectoral nerve -C5, C6, C7 Musculocutaneous nerve -C5, C6, C7 Lateral root of median nerve - C5, C6, C7 Medial cord Medial pectoral nerve - C8, T1 Medial cutaneous nerve of arm - C8, T1 Medial cutaneous nerve of forearm - C8, T1 Ulnar fibres - C7, C8, T1 Median root of median nerve - C8, T1 Posterior cord Upper subscapular nerve - C5, C6 Nerve to latissmusdorsi (Thoracodorsal N) - C6, C7, C8 Lower subscapular nerve - C5, C6 Axillary (circumflex) nerve - C5, C6 Radial nerve - C5, C6, C7, C8, T1 ALSO REMEMBER Nerve supply of Trapezius muscle: Spinal part of Accessory nerve (Cranial nerve XI) (motor) Branches from C3, C4 (propriceptive)